Poverty index does not include:
1. Long and healthy life
2. Knowledge
3. Income
4. Standards of living

Correct answer: 3. Income

Explanation: Income